lining mucosa is found over all of the following surface except:
1. Cheeks.
2. Floor of the mouth.
3. Ventral surface of tongue.
4. Dorsum of tongue.

Correct answer: 4. Dorsum of tongue.

Explanation: Dorsum of the tongue is specialized mucosa